Which is the ideal method of sterilization for snap a ray film holder?
1. Hot air oven
2. Cannot be sterilized as it is plastic
3. Chemical sterilization
4. Autoclave

Correct answer: 4. Autoclave